Most common site of ulcerative colitis is?
1. Rectum
2. Caecum
3. Small intestine
4. Appendix

Correct answer: 1. Rectum

Explanation: ANSWER: (A) RectumREF: Harrison s 18th ed ch: 295UC is a mucosal disease that usually involves the rectum and extends proximally to involve all or part of the colon. About 40-50% of patients have disease limited to the rectum and rectosigmoid, 30-40% have disease extending beyond the sigmoid but not involving the whole colon, and 20% have a total colitis